The distance from the upper end of sacrum to lower border of pubis corresponds to:
1. Transverse conjugate
2. True conjugate
3. Diagonal conjugate
4. Obstetric conjugate

Correct answer: 3. Diagonal conjugate

Explanation: Ans. C: Diagonal conjugate